Stain used for melanin-
1. Masson Fontana
2. Prussain blue
3. Masson trichrome
4. Congo red

Correct answer: 1. Masson Fontana

Explanation: HARSH MOHAN Textbook of pathology 6th edition pg no 13 TABLE 2.1: Common Special (Histochemical) Stains in Surgical Pathology (in Alphabetic Order of Constituents). Stain: Masson Fontana Component/Tissue: Melanin, argentaffin cells Dyes: Silver nitrate Interpretation:Melanin, argentaffin,chromaffin, lipofuscin: black Nuclei: red HARSH MOHAN Textbook of pathology 6th edition pg no 13